In stapedotomy, all removed except
1. Ante crura of stapes
2. Post crura of stapes
3. Stapedius tendon
4. Lenticular process of incus

Correct answer: 4. Lenticular process of incus

Explanation: Stapedotomy is a procedure that aims to replace the stapes bone with a prosthetic.Stapedotomy is an effective surgical procedure for the treatment of otosclerosis which leads to improvement in patients' quality of life. A favorable hearing outcome can be obtained by the combination of experienced hands with minimal surgical trauma and appropriate surgical technique. Steps of Stapedotomy- Ref- Dhingra, 6th edition, page 88.